True about arch of aorta are all of the following except:
1. Situated behind the lower half of the manubrium sterni
2. Right common carotid artery arises from the arch of aorta
3. It ends at the sternal end of the left second costal cartilage
4. Begining and end of the arch lies at same level

Correct answer: 2. Right common carotid artery arises from the arch of aorta

Explanation: The arch of the aorta is a continuation of the ascending aorta.It lies behind the manubrium sterni and arches upward, backward, and to the left in front of the trachea (its main direction is backward).It then passes downward to the left of the trachea and, at the level of the sternal angle, becomes continuous with the descending aorta.BranchesThe brachiocephalic artery arises from the convex surface of the aortic arch.- It passes upward and to the right of the trachea and divides into the right subclavian and right common carotid arteries behind the right sternoclavicular joint.The left common carotid artery arises from the convex surface of the aortic arch on the left side of the brachiocephalic artery. It runs upward and to the left of the trachea and enters the neck behind the left sternoclavicular joint.The left subclavian artery arises from the aortic arch behind the left common carotid artery.- It runs upward along the left side of the trachea and the esophagus to enter the root of the neck.- It arches over the apex of the left lung.